Scrambled egg appearance is seen in
1. Carcinoma stomach
2. Carcinoma gall bladder
3. Pancreatic carcinoma
4. Renal carcinoma

Correct answer: 3. Pancreatic carcinoma

Explanation: Scrambled egg appearance is the ERCP finding in carcinoma pancreas. Other findings in ERCP in pancreatic carcinoma are: abrupt block of pancreatic duct with irregular stricture, pancreatic duct encasement, Double duct sign - cut off of both pancreatic and bile duct, parenchymal filling. Reference : page 706 SRB's manual of surgery 5th edition